The features of OCD are A/E
1. Irrationale thought
2. Egosyntonic
3. Resisting the idea
4. Persistence of idea

Correct answer: 2. Egosyntonic

Explanation: B i.e. Egosyntonic